Last organ to be dissected during autopsy in asphyxial death is
1. Neck
2. Head
3. Abdomen
4. Thorax

Correct answer: 1. Neck

Explanation: Ans. is 'a' i.e. Neck Detailed study of the neck organs is required during autopsy of asphyxia death.Cranial thoracic and abdominal organs are removed before dissecting the neck, so that, the body is drained of blood.Such draining provides a clean bloodless field for the study of neck organs and prevents any artifactual seepage of blood in soft tissues of the neck.